A newborn has dribbling after feeds. He has respiratory distress and froths at the mouth. Diagnosis is -
1. Tracheoesophageal fistula
2. Tetralogy of fallot
3. Respiratory distress syndrome
4. None of the above

Correct answer: 1. Tracheoesophageal fistula

Explanation: Ans. is 'a' i.e., Tracheoesophageal fistula Tracheoesophageal fistula and esophageal atresia o Esophageal atresia is the most common congenital anamoly of the esophagus. o More than 90% are associated with tracheoesophageal fistula. The most common variety is the one where upper part of esophagus ends blindly and the lower part is connected to trachea by a fistula. TEF should be suspected in all cases of hydroamnion. o There may be associated anomalies --> VACTERL (vertebral, anorectal, cardiac, tracheal, esophageal, renal, radial, limb) syndrome. Presentations Frothing and bubbling at the mouth and nose. o Coughing, cyanosis and respiratory distress. o Feeding exacerbates these symptoms, cause regurgitation, and may precipitate aspiration. o Aspiration of gastric contents distal fistula can cause aspiration pneumonitis.